Cerebral malaria most commonly attends infection with which of the following
1. Plasmodium malariae
2. Plasmodium vivax
3. Plasmodium falciparum
4. Plasmodium ovale

Correct answer: 3. Plasmodium falciparum

Explanation: Cerebral malaria involves the clinical manifestations of Plasmodium falciparum malaria that induce changes in mental status and coma and is accompanied by fever. Without treatment, cerebral malaria is fatal in 24-72 hours and the mortality ratio is between 25 to 50 percent. The common histopathologic finding is the sequestration of parasitized and nonparasitized red blood cells in cerebral capillaries and venules. Ref:- Baveja